Myelin sheath is synthesized by?
1. Oligodendrocytes
2. Microglia cells
3. Astrocytes
4. All of the above

Correct answer: 1. Oligodendrocytes

Explanation: Ans. A Oligodendrocytes. (Ref. Human Histology by IB Singh, 3rd / pg. 12-37, 165)Langman's Medical Embryology 9th/pg, 443......"Schwann cells myelinate the peripheral nerves. These cells originate from neural crest, migrate peripherally, and wrap themselves around axons, forming the neurilemma sheath. The myelin sheath surrounding nerve fibers in the spinal cord has a completely different origin, the oligodendroglial cells.Brain cells CELLSFUNCTION1Oligodendrocytes* Myelin sheaths are produced by oligodendrocytes in CNS and Schwann cells in peripheral nerves.2Microglial cells* Are supporting cells of CNS and are Part of Macrophage system (Gitter cells).3Astrocytes* By their foot processes help in forming blood-brain barrier.4Ependymal cells* Line ventricles, are tall columnar cells with fine cilia and secrete CSF in small amount.5Tanycytes* Modified Ependymal cells having long protoplasmic processes are called Tanycyter.